Which of the following country has maximum life expectancy at birth:-
1. India
2. Japan
3. USA
4. Singapore

Correct answer: 2. Japan

Explanation: Life expectancy at birth in selected countries 2017 Country Males Females India 67 70 Japan 81 87 USA 76 81 Singapore 81 85 - Hence, among given options, Japan has maximum life expectancy at birth.